Which of the following disease is more common in patients with alfa 1 antitrypsin deficiency?
1. Good pasteurs syndrome
2. Microscopic PAN
3. Wegeners granulamatosis
4. Churg -strauss syndrome

Correct answer: 3. Wegeners granulamatosis

Explanation: Alfa 1 antitrypsin is an inhibitor of proteinase 3. Antiproteinase antibodies are seen in Wegeners granulamatosis. Ref: Harrisons Principles of Internal Medicine, 18th Edition, Page 2343